Amongst various current criteria for FUO (Fever of Unknown origin), one relates to body temperature =
1. 98.4deg F
2. 99.4deg F
3. 100deg F
4. 101deg F

Correct answer: 4. 101deg F

Explanation: Ans. d (101deg F). (Ref: Harrison's 17th edition, P. 130).PUO/FUO# Petersdorf and Beeson (1961)# Temperature > 101deg F (38.3degF) on several occasions# Duration of fever > 3 weeks# Failure to reach diagnosis despite inpatient investigations for 1 week.Also Remember:Neutropenic FUO# Neutrophil count < 500/cmmHIV Associated FUO# Duration of fever >4 weeks# And inpatient investigation with failure to reach diagnosis is > 3 daysMost common cause of PUO# Infection (26%) -m/c extrapulmonary TBMost common cause of PUO in elderly# Multisystem disease (Giant cell artheritis)Undiagnosed Cause for FUO# 25-30Malignancies associated with FUO# Ca colon (most common cause)# Hepatoma# Gall bladder Ca# Lymphoma, leukemia# Pancreatic cancer# Renal cell cancer# Sarcoma# Atrial myxoma# Renal angiomyoliposa